Koch's triangle has blood supply from -
1. Right coronary artery
2. Left circumflex artery
3. Left anterior descending artery
4. Anterior aortic sinus

Correct answer: 1. Right coronary artery

Explanation: Koch’s triangle is a part of right atrium. Hence it is supplied by Right coronary artery.